Mycobacterium avium complex infections are common when the CD4+ counts in cells/mm3 are
1. 200
2. < 200
3. >50
4. < 50

Correct answer: 4. < 50

Explanation: The CD4+ T-cell count can define the risk of infection with specific organisms. As a rule of thumb, bacterial and tubercular infections are more likely at higher CD4+ counts (>200 cells/mm3). Pneumocystis pneumonia usually strikes at CD4+ counts below 200 cells/mm3, while cytomegalovirus and Mycobacterium avium complex infections are uncommon until the very late stages of immunosuppression (CD4+ counts <50 cells/mm3).